Anaesthesia contraindicated In volvulus of gut is
1. Halothane
2. Nitrous oxide
3. Ketamine
4. Pancuronium

Correct answer: 2. Nitrous oxide

Explanation: Nitrous oxide displaces nitrogen in air filled cavities and while doing so it enters the cavities faster that is even before nitrogen escapes. This results in expansion of such cavities leading to pnemothorax and air embolus.Hence nitrous oxide should be avoided in such patients. From padmaja 4th edition Page no 191